Which of the following is shortest acting non depolarizing Muscle Relaxant:
1. Vecuronium
2. Mivacurium
3. Succinylcholine
4. Atracrium

Correct answer: 2. Mivacurium

Explanation: Ans: (b) MivacuriumRef: KDt 6th ed. / 343* Shortest acting non-depolarizing muscle relaxant: Mivacurium* Shortest acting depolarizing muscle relaxant: Sch* Overall shortest acting muscle relaxant: Sch.* Shortest acting local anaesthetic: chlorprocaineClassification of Muscle RelaxantsNeuro Muscular Blocking agentDepolarizing (Non- competitive) M.R.Non-depolarizing (Competitive) M.R.Suxamethonium/succinyl choline/ ScolineDecamethoniumAll others, For eg: Gallamine,D-tubocurarine, Atracurium,Mevacurium/ Vecuronium/Pancuronium/Rocuronium